Tellurite stimulates growth of-
1. E.coil
2. Cl. tetani
3. Corynebacterium diptheriae
4. Salmonella

Correct answer: 3. Corynebacterium diptheriae

Explanation: Ans. is 'c' i.e., Corynebacterium diphtheriae